A genetic disorder renders fructose 1,6 bisphosphatase in liver less sensitive to regulation by fructose 2,6- bisphosphate. All of the following metabolic changes occur EXCEPT:
1. Level of fructose 1,6 bisphosphate is higher than normal
2. Level of fructose 1,6 bisphosphate is lower than normal
3. Less Pyruvate formed
4. Less ATP formed

Correct answer: 1. Level of fructose 1,6 bisphosphate is higher than normal

Explanation: Note that question is asking about the wrong statement. as shown in flow chart below, The level of fructose 1,6 bisphosphate is lower than normal not higher in case of mutation. so option a is wrong. Explanation: Normally Fructose 2, 6 bisphosphate is the inhibitor of Fructose 1,6 bisphosphatase (an enzyme of gluconeogenesis). So, it decreases the activity of Fructose 1,6 bisphosphatase. Thus increases the rate of glycolysis. BUT now due to mutation, activity of Fructose 1,6 bisphosphatase is not decreased. So, Fructose 1,6 bisphosphatase will increase. So its substrate (Fructose 1, 6 bisphosphate ) is decreased. This is committed molecule of glycolysis. So glycolysis decreases. Therefore, ATP & Pyruvate decreases.